All of the following are true about vitiligo except:
1. Autoimmune destruction of melanocytes
2. Vitiligo vulgaris is the most common type
3. Black hair is a poor prognostic sign
4. Koebner's phenomenon positive

Correct answer: 3. Black hair is a poor prognostic sign

Explanation: Since black hair follicle has melanocyte precursors, it is a good prognostic sign.